Denominator in maternal mortality ratio?
1. Mid Year Population
2. Live births
3. Total births
4. Total numbebr of pregnancies

Correct answer: 2. Live births

Explanation: Maternal mortality rate is total no.of female deaths due tobcomplications of pregnancy, childbirth or within 42 days of delivery from puerperal causes in an area during a given year by total no.of live births in the same year and area.REF.PARK'S TEXTBOOK OF PREVENTIVE AND SOCIAL MEDICINE.Editon-21.Page no.-514